How many bones are there in human skull?
1. 20
2. 22
3. 24
4. 26

Correct answer: 2. 22

Explanation: The skull consists of the 22 bones. 
The calvaria or brain case is composed of 8 bones. 
The facial  skeleton is composed of 14 bones.